The term anisometropia indicates
1. Refractive error
2. Long vision
3. Short vision
4. Ageing process

Correct answer: 1. Refractive error

Explanation: Ans. Refractive error